A 25 years old 2nd gravida with B negative blood group reaches in labor room in full dilatation. All the following norms to be followed except:
1. Cord blood to be saved in 2 vial - plain & EDTA vial
2. Early clamping of cord
3. Avoidance of manual removal of placenta
4. Liberal prophylactic use of ergometrine

Correct answer: 4. Liberal prophylactic use of ergometrine

Explanation: Ans. D. Liberal prophylactic use of ergometrineUse of ergot derivatives is contraindicated in Rh negative mother to avoid chances of feto-maternal micro transfusions.